All of the following skin lesions are  premalignant except
1. Actinic keratosis
2. Oral leucoplakia
3. Bowen's disease
4. Acanthosis nigricans

Correct answer: 4. Acanthosis nigricans

Explanation: Acanthosis nigricans is a skin lesion seen with underlying gastric malignancy, but it is not a precancerous lesion.